Graphical representation of frequency distribution curve is:
1. Pie chart
2. Bar diagram
3. Histogram
4. Pictogram

Correct answer: 3. Histogram

Explanation: Ans: c (Histogram) Ref: Park, 19th ed, p. 698HistogramIs a pictorial diagram of frequency distribution. It consists of a series of blocks. The area of each block or rectangle is proportional to its frequency.Frequency polygonObtained by joining the mid points of histogram blocks.Pie chartAreas of segments of a circle is compared. It is popular with the laity, but inferior to bar chart.Bar diagramRepresents data by the length of the bar, which is proportional to the magnitude, e.g, simple bar chart, multiple bar charts and component bar chart.Line diagramUsed to show the trend of events with the passage of time.PictogramTo present data to the "man in streets" and to those who cannot understand orthodox charts.Scatter diagramShows relationship between two variables. If the dots cluster round a straight line, it shows evidence of a relationship of a linear nature.